Bezold-Jarish reflex response is
1. Tachycardia
2. Bradycardia
3. Hypertension
4. None

Correct answer: 2. Bradycardia

Explanation: Activation of chemosensitive vagal C fibers in the cardiopulmonary region (eg, juxtacapillary region of alveoli, ventricles, atria, great veins, and pulmonary artery) causes profound bradycardia, hypotension, and a brief period of apnea followed by rapid shallow breathing. This response pattern is called the Bezold-Jarisch reflexRef: Ganong's Review of medical physiology 25th edition. Page: 592